Lesion in female child born to a mother treated with stilbesterol is :
1. Vaginal adenosis
2. Sarcoma Botyroides
3. Cervical erosion
4. Carcinoma endometrium

Correct answer: 1. Vaginal adenosis

Explanation: Vaginal adenosis